All are endogenous catecholamines except :
1. Epinephrine
2. Norepinephrine
3. Dopamine
4. Dobutamine

Correct answer: 4. Dobutamine

Explanation: Dobutamine ] Catecholamines are compound containing catechol nucleus and a side chain containing amine group.